Weber Fechner law is related to -
1. Phantom limb
2. Force of contraction in heart
3. Intensity of stimulus and sensation felt
4. Cortical plasticity'

Correct answer: 3. Intensity of stimulus and sensation felt

Explanation: Ans. is 'c' i.e., Intensity of stimulus and sensation felt Weber Fechner law"Magnitude of sensation felt is proportionate to the log of intensity of the stimulus"Bell Magentic lawIn the spinal cord - dorsal roots are sensory and ventral roots are motor Law of projectionDescribe phantom limb sensation